All are true about seminomas except:
1. Most common type of germ cell tumor
2. Anaplastic seminomas is associated with a worse prognosis
3. Almost never occur in infants
4. Spermatocytic seminoma is slow growing with good prognosis

Correct answer: 2. Anaplastic seminomas is associated with a worse prognosis

Explanation: Ans. (b) Anaplastic seminomas is associated with a worse prognosis(Ref: Genitourinary Pathology: A Volume in the Series: pg610)The term anaplastic seminoma is used when seminoma shows pleomorphism, robust mitotic activity and scant lymphocytic infiltrate. Anaplastic semioma has same prognosis as classical seminoma.